Polygonal violaceous , well defined flat topped ,itchy papules are the primary lesions of
1. Lichen planus
2. Phemphigus vulgaris
3. Lupus erythematous
4. Psoriasis

Correct answer: 1. Lichen planus

Explanation: Lichen planus lesions are classically violaceous well defined polygonal itchy papules.